Treatment of malignant glaucoma is:
1. Pilocarpine
2. Cyclocryotherapy
3. Vitreous aspiration
4. Trabeculectomy

Correct answer: 3. Vitreous aspiration

Explanation: Ans. Vitreous aspiration